Facial artery gives rise to following branches
1. Submental artery, ascending pharyngeal artery, tonsillar artery, posterior auricular artery
2. Submental artery, ascending palatine artery, tonsillar artery, angular artery
3. Tonsillar artery, submental artery, ascending pharyngeal artery, angular artery
4. Tonsillar artery, submental artery, ascending pharyngeal artery, glandular artery

Correct answer: 2. Submental artery, ascending palatine artery, tonsillar artery, angular artery

Explanation: Facial artery gives rise to :

Submental artery.
Tonsillar artery.
Ascending palatine artery.
Glandular artery.
Superior and inferior labial artery.
Lateral nasal artery.
Angular artery.